Hutchinson's teeth are seen in
1. Early congenital spirochete infection
2. Late congenital syphilis
3. Rickets
4. Scurvy

Correct answer: 2. Late congenital syphilis

Explanation: It is a common pattern of presentation for congenital syphilis, and consists of three phenomena aka Hutchinson triad:

Interstitial keratitis
Hutchinson incisors
Eighth nerve deafness.